Following are true regarding Typhoid ulcer EXCEPT
1. Bleeding common
2. Commonly in ileum
3. Perforation occurs
4. Stricture occurs

Correct answer: 4. Stricture occurs

Explanation: (D) Stricture occurs # Typhoid ulcer is parallel to the long axis of the bowel and usually typhoid enteritis does not cause stricture.